Decrease in plasma osmotic pressure is cause of edema in?
1. CHF
2. DVT
3. Nephrotic syndrome
4. None

Correct answer: 3. Nephrotic syndrome

Explanation: Ans. is 'c' i.e., Nephrotic syndrome * Following conditions can cause edema :-1) Increased hydrostatic presure of capillaries : It causes increase in outward driving forece. It may be due to imparied venous return e.g. in CHF or DVT.2) Decreased plasma osmotic pressure of capillaries: It causes decreases in inward driving force. It results from Hypoproteinemia. When total plasma protein is below 5 gm/dl (normal 6-8gm/dl) or albumin is below 2[?]5 gm/dl (normal 3[?]5-5 gm/dl) edema takes place. Conditions causing hypoproteinemia are nephrotic syndrome, liver cirrhosis, protein losing enteropathy, and PEM.3) Defective removal of interstitial fluid by lymphatics : It is due to lymphatic obstruction, which may be inflammatory, neoplastic, post surgical and post-irradiational.4) Increased vascular permeability: It occurs in acute and chronic inflammation, and during angiogenesis (new vessels are leaky).5) Sodium (salt) and water retention : It causes expansion of plasma volume (hydrostatic pressure) and dilution of plasma proteins (| osmotic pressure). The conditions responsible for this type of edema are ARF, acute glomerulonephritis, renal hypoperfusion, and increase renin angiotensin aldosterone system (RAAS) activity.